In case of hypothyroidism which investigation is most informative and most commonly used -
1. Serum TSH Level
2. Serum T3, T4 Level
3. Serum Calcitonin assay
4. Serum TRH assay

Correct answer: 1. Serum TSH Level